Cholesteatoma commonly perforates -
1. Lat. semicircular canal
2. Sup. semicircular canal
3. Promontory
4. Oval window

Correct answer: 1. Lat. semicircular canal

Explanation: Cholesteatoma has the property to destroy the bone by virtue of the various enzymes released by it.
Structures immediately at the risk of erosion are:

– Long process of incus.Q
– Fallopian canal containing facial nerve. Q
– Horizontal/lateral semicircular canal. Q